ECG was performed on a total of 700 subjects with complaints of acute chest pain. Of these, 520 patients had myocardial infarction. Calculate the positive predictive value of ECG is:\r\n\r\n \r\n\r\n\r\n\r\nMYOCARDIAL INFARCTION\r\n\r\n \r\n \r\n \r\n\r\n\r\n\r\nECG\r\n\r\n\r\nPRESENT\r\n\r\n\r\nABSENT\r\n\r\n\r\nTOTAL\r\n\r\n\r\n\r\n\r\nPOSITIVE\r\n\r\n\r\n416\r\n\r\n\r\n9\r\n\r\n\r\n425\r\n\r\n\r\n\r\n\r\nNEGATIVE\r\n\r\n\r\n104\r\n\r\n\r\n171\r\n\r\n\r\n275\r\n\r\n\r\n\r\n\r\nTOTAL\r\n\r\n\r\n520\r\n\r\n\r\n180\r\n\r\n\r\n700\r\n\r\n\r\n\r\n\r\n\r\n
1. 40%
2. 55%
3. 95%
4. 98%

Correct answer: 4. 98%

Explanation: Positive predictive value=true positive/(true positive+ false positive) 416/425 x 100= 98% Ref: Medical biostatistics, 1st edition pg: 201